Which of the following drugs is best for reducing proteinuria in a diabetic patient ?
1. Metoprolol
2. Perindopril
3. Chlorothiazide
4. Clonidine

Correct answer: 2. Perindopril